Which of the following types of viral hepatitis infection in pregnancy, the maternal mortality is the highest?
1. Hepatitis A
2. Hepatitis B
3. Hepatitis C
4. Hepatitis E

Correct answer: 4. Hepatitis E

Explanation: Ans. is d, i.e. Hepatitis ERef. Dutta Obs. 7/e, p 292; Robbin's 6/e, p 862Maximum risk of maternal mortality is with hepatitis E.Maximum risk of hepatic encephalopathy is with hepatitis E.Maximum risk of perinatal transmission is with hepatitis B.All pregnant females should be screened for HBV infection in their first antenatal visit and repeated in the last trimester.Screening of HBV is done by determination of HBsAg.Maximum transmission of HBB infection occurs at the time of delivery Q. Hence MTP is not recommended in case of first trimester. There is no evidence that cesarean section lowers the risk of vertical transmission.Breastfeeding is not contraindicated in case of hepatitis.